About Caput Succedaneum all are true EXCEPT:
1. It is a soft & boggy swelling
2. It can predispose to prolonged jaundice
3. It resolves in 48-72 hours
4. Vacuum assisted delivery is one of the common underlying causes

Correct answer: 2. It can predispose to prolonged jaundice

Explanation: Cephalhematoma predisposes to neonatal jaundice & not caput succedaneum. No. Cephalhematoma Caput succedaneum 1. Sub periosteal hemorrhage involving cranial bones Due to edema in the layers of scalp 2. Do not cross sutures Can cross sutures 3. Takes 5-7 weeks to disappear Disappears by 48-72 hours 4. Predisposes to neonatal jaundice Does not predispose to neonatal jaundice